Rifampin induces metabolism of which drug?
1. Zidovudine
2. Lamivudine
3. Nevirapine
4. Enfuvirtide

Correct answer: 3. Nevirapine

Explanation: Ans. is 'c' i.e., Nevirapine Rifampin Interactions Microsomal enzyme inducer - increases CYP 450 isoenzymes. It thus induces its own metabolism as well as metabolism of other drugs like warfarin, oral contraceptives, corticosteroids, sulfonylureas, HIV protease inhibitors, non nucleoside reverse transcriptase inhibitors (NNRTI), theophylline, metoprolol, fluconazole, ketoconazole, clarithromycin and phenytoin. Nevirapine is an NNRTI and thus its metabolism is induced by rifampin.